Anterior choroidal artery is a branch of which of the following?
1. Retinal artery
2. External carotid artery
3. Internal carotid artery
4. Middle meningeal artery

Correct answer: 3. Internal carotid artery

Explanation: Anterior choroidal artery is a branch of the internal carotid artery.